Resection of the adjacent gut is most often required in
1. Chylolymphatic cyst
2. Enterogenous cyst
3. Mesenteric dermoid cyst
4. Simple cyst

Correct answer: 2. Enterogenous cyst

Explanation: Chylolymphatic cystEnterogenous cystUsually congenital as a result of sequestration of lymphaticsDerived from diverticulum of mesentric border that has become sequestrated The cyst wall is thin, lacks muscular wall, not lined by mucosa Thick wall lined by mucosa Usually solitary,often unilocular with clear lymph or chyleContent is mucinousMost frequently seen in the mesentery of ileum Independent blood supplyCommon blood supply as adjacent bowel Enucleation is enoughResection anastomosis needed(Refer: Schwartz's Principles of Surgery, 9th edition, pg no: 2010)